Tumor not caused by PUVA is?
1. Melanoma
2. BCC
3. Cutaneous T cell lymphoma
4. SCC

Correct answer: 3. Cutaneous T cell lymphoma

Explanation: Cutaneous T cell lymphoma REF: Rook's 8 ed p.29.7 The carcinogenic effect of UVA is seen more with melanomas and to a lesser extent for non melanomatous skin tumours like basal cell carcinoma and squamous cell carcinoma.